False statement about type I respiratory failure is
1. Decreased paO2
2. Decreased PaCO2
3. Normal PaCO2
4. Normal A-a gradient

Correct answer: 4. Normal A-a gradient

Explanation: Ref Harrison 19 th ed pg 1731 Type I respiratory failure is characterized by an increase in alveolar arterial O2 gradient,due to ventilation perfusion mismatch.